Occlusion of Artery of Adamkiewicz leads to infarction of which of the following structure?
1. Spleen
2. Myocardium
3. Spinal cord
4. Internal capsule

Correct answer: 3. Spinal cord

Explanation: Also called as Arteria radicularis Magna: supplies the anterior spinal artery, can arise from Subcostal, Posterior intercostal or lumbar arteries. Occlusion commonly occurs during surgery for thoracoabdominal aneurysms which leads to spinal cord infarction and paraplegia. ref - pubmed.com